During pregnancy, vaccination can be fiven against all these diseases expect-
1. Hepatitis
2. Typhoid
3. Mumps
4. Hepatitis B

Correct answer: 3. Mumps

Explanation: vaccine available for mumps is an highly efectuve live attenuated vaccine.the major strains include,jeryl lynn,leningrad3,L-zagrib etc.as with most other live attenuated viral vaccine it should not be adminitered during pregnancy due to immunocompromiseref;parks textbook,ed22,pg144